Commonest among diseases with Mendelian inheritance is -
1. Autosomal dominant
2. Autosnmal recessive
3. X-linked recessive
4. X-dominant

Correct answer: 1. Autosomal dominant

Explanation: Ans. is 'a' i.e., Autosomal dominant It is estimated that the combined incidence of mendelian inheritance (autosomal dominant, autosomal recessive, x-linked) in man is about 1% of all live born individuals. a As many as 793 autosomal dominant phenotypes. 629 autosomal recessive traits and 123 sex linked diseases have been catalogued to date.